Which artery does not contribute to little's area:
1. Anterior ethmoidal artery
2. Septalbrach of facial artery
3. Sphenopalatine artery
4. Posterior ethmoidal artery

Correct answer: 4. Posterior ethmoidal artery

Explanation: Little's area-Anteroinferior part of nasal septum- formed by- anterior ethmoidal artery,septal branch of superior labial artery,septal brach of sphenopalatine artery,greater palatine artery. Ref.Dhingra 6/e,p 176.